In clinical MR imaging, the patient is placed within a strong magnetic field; the strength of the magnetic field used most commonly is:
1. 1.5 T
2. 0.15 T
3. 15 T
4. 7 T

Correct answer: 1. 1.5 T

Explanation: In clinical MR imaging, the patient is placed within a strong magnetic field. The field strengths range from 0.1 to 7 T, with 1.5 T being the most common (1.5 T is about 30,000 times the strength of the earth's magnetic field).